Stunting indicates
1. Acute malnutrition
2. Chronic malnutrition
3. Both of the above
4. None of the above

Correct answer: 2. Chronic malnutrition